The following is NOT a component of innate immunity -
1. Epithelial surfaces
2. Antibody
3. Lysozyme
4. Sebum

Correct answer: 2. Antibody

Explanation: Anatomical barriers include physical, chemical and biological barriers. The epithelial surfaces skin& mucous membrane, Mucus, saliva, lysozyme,Tears,flushing action of urine etc.. Ref: Ananthanarayan & Panikers textbook of microbiology 9th edition pg.no. : 79-81